A 40-year-old female patient on long term steroid therapy presents with recent onset of severe pain in the right hip. Imaging modality of choice for this problem is:
1. CT scan
2. Bone scan
3. MRI
4. Plain X-ray

Correct answer: 3. MRI

Explanation: Ans. MRI